A 34-year-old power lifter visits the outpatient clinic because he has difficulty walking. During physical examination it is observed that the patient has a problem unlocking the knee joint to permit flexion of the leg. Which of the following muscles is most likely damaged?
1. Biceps femoris
2. Gastrocnemius
3. Popliteus
4. Semimembranosus

Correct answer: 3. Popliteus

Explanation: When the popliteus contracts, it rotates the distal portion of the femur in a lateral direction. It also draws the lateral meniscus posteriorly, thereby protecting this cartilage as the distal femoral condyle glides and rolls backward, as the knee is flexed. This allows the knee to flex and therefore serves in unlocking the knee. The biceps femoris is a strong flexor of the leg and laterally rotates the knee when it is in a position of flexion. The gastrocnemius is a powerful plantar flexor of the foot. The semimembranous, similar to the biceps femoris, is a component of the hamstring muscles and is involved in extending the thigh and flexing the leg at the knee joint. The rectus femoris is the strongest quadriceps muscle in extending the leg at the knee.